A fluid filled elevated lesion of skin is called
1. Bulla
2. Macule
3. Papule
4. Nodule

Correct answer: 1. Bulla